Which of the following is false regarding setting of plaster products?
1. Setting expansion increases with increase in nucleic density
2. Most accurate method of controlling setting expansion is by chair side addition of chemicals
3. Potassium sulphate is an accelerator and reduces the setting expansion
4. Maximum acceleration effect for sodium sulphate is approximately 3.4%

Correct answer: 2. Most accurate method of controlling setting expansion is by chair side addition of chemicals